All of the following acute myeloid leukemia are diagnosed regardless of blast count except
1. AML with t(8;21)
2. AML with t(15;17)
3. AML with t(16;16)
4. AML with t(1;9)

Correct answer: 4. AML with t(1;9)

Explanation: WHO classification mandates diagnosis of AML only when >20% blasts are present in the marrow. However, in the following three scenarios, this is overruled and AML may be diagnosed even if blast count is <20%.

AML with t(8;21)
AML with t(15;17)
AML with inv (16) or t(16;16)